Adverse effects of hypothermia are all except:
1. Cardiac arrhythmias
2. Renal failure
3. Decreased peripheral resistance
4. Reversible coagulopathy

Correct answer: 3. Decreased peripheral resistance

Explanation: C i.e. Decreased peripheral resistance